All of the following is/are true about Rubella in pregnancy except
1. Diagnosed when IgM antibodies are present in the neonatal serum
2. Diagnosed when IgG antibodies persist for more than 6 months
3. Most common defects are cataracts, deafness and heart defects
4. Maternal infection after 16 weeks of gestation result in major congenital defects

Correct answer: 4. Maternal infection after 16 weeks of gestation result in major congenital defects

Explanation: Maternal infection after 16 weeks of gestation result in major congenital defects is not true. Timing of fetal infection determines the extent of teratogenic effect in fetus: Ist 2 months Abnormalities in 65-85% cases, Multiple congenital defects (cataracts, deafness and heart defects) Spontaneous abortion 3rd month of fetal life: 30% to 35% chance of developing a single defect, Deafness ,CHD. During the 4th month 10% risk for a single congenital defect Beyond the 4th month No risk to fetus The classic triad of congenital Rubella includes - Deafness Cataract Congenital heart disease (PDA and PS)